Sistrunk operation is used for treatment of -
1. Pharyngeal pouch
2. Cystic hygroma
3. Thyroglossal duct cyst
4. Sternocleidomastoid tumor

Correct answer: 3. Thyroglossal duct cyst

Explanation: Ans. is 'c' i.e., Thyroglossal duct cyst Thyroglossal duct cysts* The thyroid gland descends early in fetal life from the base of the tongue towards its position in the lower neck with the isthmus lying over the second and third tracheal rings.* At the time of its descent, the hyoid bone has not been formed and the track of the descent of the thyroid gland is variable, passing in front, through or behind the eventual position of the hyoid body.* Thyroglossal duct cysts represent a persistence of this track and may therefore be found anywhere in or adjacent to the midline from the tongue base to the thyroid isthmus.* The cysts almost always arise in the midline but, when they are adjacent to the thyroid cartilage, they may lie slightly to one side of the midline. Classically, the cyst moves upwards on swallowing and with tongue protrusion.* Treatment must include excision of the whole thyroglossal tract, which involves removal of the body of the hyoid bone and the suprahyoid tract through the tongue base to the vallecula at the site of the primitive foramen caecum, together with a core of tissue on either side. This operation is known as Sistrunk's operation and prevents recurrence, most notably from small side branches of the thyroglossal tract.